All of the following features are seen in the viral pneumonia Except
1. Presence of interstitial inflammation
2. Predominance of alveolar exudates
3. Bronchiolitis
4. Multinucleate gaint cells in the bronchiolar wall

Correct answer: 2. Predominance of alveolar exudates

Explanation: Acute viral pneumonia or interstitial pneumonia are sometimes called atypical pneumonia because the typical features of airspace pneumonia are not present in them. The term 'atypical" denotesThe moderate amount of sputum. Only moderate elevation of white cell count. No physical findings of consolidation and lack of alveolar exudates.Acute interstitial pneumonia results from infection by agents that are predominantly obligate intracellular pathogens. Infections with these organisms evoke an acute inflammation that is usually restricted to the interstitium without the involvement of the alveolar spaces.